Shift of oxygen binding curve to the left occurs because of
1. Increased 2,3-DPG
2. Increased temperature
3. Increased PCO2
4. Stored blood

Correct answer: 4. Stored blood

Explanation: Causes of the shift to the left include:Decreased H+(increased pH).Decreased 2,3-DPG.Stored blood.Polycythemia Decreased temperatureDecreased P CO2Causes of the shift to the right include:Increased H+( decreased pH)Increased 2,3-DPGIncreased temperatureIncreased PCO2